Sacrotuberous ligament is pierced by?
1. Nerve to obturator internus
2. Inferior gluteal artery
3. Superior gluteal artery
4. Sciatic nerve

Correct answer: 2. Inferior gluteal artery

Explanation: Ans.(b) Inferior gluteal arteryRef: Gray's anatomy 40th ed., chapter 80